Which of the following is an energy-requiring step of glycolysis?
1. Pyruvate carboxylase
2. Phosphoenolpyruvate carboxykinase
3. Phosphoglycerate kinase
4. Hexokinase

Correct answer: 4. Hexokinase

Explanation: Hexokinase catalyzes the conversion of glucose to glucose-6-phosphate in the energy-requiring first step of glycolysis. ATP is also required in the conversion of fructose-6-phosphate to fructose 1,6-bisphosphate by PFK. ATP is generated in the conversion of 1,3-bisphosphoglycerate to 3-phosphoglycerate by phosphoglycerate kinase and in the conversion of phosphoenolpyruvate to pyruvate by PK. Both phosphoenolpyruvate carboxykinase and pyruvate carboxylase are energy-requiring reactions except that these occur in the gluconeogenesis pathway. Ref: Bender D.A., Mayes P.A. (2011). Chapter 18. Glycolysis & the Oxidation of Pyruvate. In D.A. Bender, K.M. Botham, P.A. Weil, P.J. Kennelly, R.K. Murray, V.W. Rodwell (Eds), Harper's Illustrated Biochemistry, 29e.